Percentage of T4 and T3 released from thyroid gland?
1. 50% T4 ; 50% T3
2. 25% T4 ; 75% T3
3. 80% T4 ;20% T3
4. 1000% T4 ;0% T,

Correct answer: 3. 80% T4 ;20% T3

Explanation: Ans. is 'c' i.e., 80% T4 ;20% T3 ,(Ref: Elsefier's medical laboratory science examination review p.246)Approximately 80% of secreted hormone is T4 & 20% T3 ," .